Corneal complications of contact lens use -
1. Acanthamoeba keratitis
2. Corneal infiltrate
3. Corneal vascularization
4. All of the above

Correct answer: 4. All of the above

Explanation: Ans. is 'd' i.e., All of the above Advantages of contact lenso Contact lens has several advantages over spectaclesRetain binocularity in Anisometropia owing to less magnification of size of retinal image.Irregular astigmatism can be corrected.No peripheral distoration as it moves with eye and there is normal field of vision.Not subjected to moistening.Several varieties of contact lens can aid in treatment of dry eye. Hard contact lens may stimulate reflex tearing and also prevent evaporation of tear .Cosmatically superior:Tinted contact lenses relieve photophobia in albinism.Disadvantages of contact lenso Complications of contact lens wearing are: -Intolerance: - Some people find wearing contact lenses intolerable.Corneal complications : - Corneal abrasion. Corneal edema. Corneal vascularization. Microbial keratitis (Pseudomonas, acanthamoeba), Sterile comeal infiltrate.Giant papillary conjunctivitis.Hypoxia : - Cornea is deprived of oxygen from the tear film by the presence of the contact lens. The cornea becomes edematous and new vessels may develop in the lint bat area.Sensitivity : - This may develop in response to the preservative (thiomersal) in the cleaning and soaking solution. This results in allergic conjunctivitis.